All of the following are seen in digitals toxicity except
1. Ventricular bigeminy
2. Paroxysmal arial tachycardia with fast ventricular rate
3. Regularization of atrial fibrillation
4. Bidirectional ventricular tachycardia

Correct answer: 2. Paroxysmal arial tachycardia with fast ventricular rate

Explanation: Ref-critical care toxicology 4/e p395 Digital characteristics cause atrial tachycardia with AV block, it does not cause at atrial tachycardia with fast Venturicular rate